Which one of the following not a prion associated disease -
1. Srapie
2. Kuru
3. Creutzfeldt-Jakob disease
4. Alzheimer's disease

Correct answer: 4. Alzheimer's disease

Explanation: Ans. is 'd' i.e., Alzheimer's disease